All are therapeutic role of recording base, except?
1. Establishment of VDR
2. Establishment of VDO
3. For chewcking under/overextended borders of final impression
4. Determination & recording of CR

Correct answer: 3. For chewcking under/overextended borders of final impression